Ocular complications in herpes zoster ophthalmicus usually appear:
1. At the subsidence of skin eruptions
2. Simultaneous with cutaneous lesions
3. Two days after the skin eruptions
4. During stage of erythematous skin lesions

Correct answer: 1. At the subsidence of skin eruptions

Explanation: Ans. At the subsidence of skin eruptions